The earliest manifestations of Chronic lead poisoning include:
1. Colic and Constipation
2. Encephalopathy
3. Punctate basophilia
4. Lower limb paralysis

Correct answer: 3. Punctate basophilia

Explanation: C i.e. Punctate basophilia